The capsule of Cryptococcus neoformans in a CSF sample is best seen by
1. Gram stain
2. Indian ink preparation
3. Giemsa stain
4. Methanamine silver stain

Correct answer: 2. Indian ink preparation

Explanation: The capsule of Cryptococcus can be demonstrated by Indian ink stain. Ref: Textbook of Microbiology, Ananthanarayan and Paniker; 9th edition